Medullary carcinoma of the thyroid is associated with which of the following syndrome:
1. MEN I
2. MEN II A
3. Fraumeni syndrome
4. Hashimoto's thyroiditis

Correct answer: 2. MEN II A

Explanation: MEN 2A (Sipple syndrome) is associated with medullary thyroid carcinoma, pheochromocytoma and parathyroid adenoma. Neural crest tumors associated with it are gliomas, glioblastoma and meningioma. Ref: Essentials of Rubin's Pathology By Emanuel Rubin, 5th Edition, Page 486.